Provision of integrated preventive, curative and promotional health services are part of
1. Comprehensive health care system
2. Primary healthcare system
3. Universal healthcare
4. Basic health care

Correct answer: 1. Comprehensive health care system